Which of the following is known to cause Pedal Botryomycosis?
1. Actinomyces somaliensis
2. Nocardia asteroides
3. Staphylococcus aureus
4. Candida glabrata

Correct answer: 3. Staphylococcus aureus

Explanation: .Staphylococcus aureus is usually the organism that causes the infection, however it can also be caused by Pseudomonas aeruginosa or several other species of bacteria. The anatomic structure of its lesion is similar to that of actinomycosis and eumycetoma, and its granules resemble the sulfur granules of actinomycosis. Botryomycosis; is a rare chronic granulomatous bacterial infection that affects the skin, and sometimes the viscera ref Robbins 9/e pg 345